All of the following are beta lactamase inhibitors except :
1. Clavulanic acid
2. Sulbactam
3. Tazobactam
4. Aztreonam

Correct answer: 4. Aztreonam